Best antihypertensive drug used in pulmonary hypertension is:
1. Digoxin
2. Furosemide
3. Amlodipine
4. Bosentan

Correct answer: 4. Bosentan

Explanation: Ans: D. Bosentan(Ref Harrison 19/e p1659, 18/e p2079)Treatment of Pulmonary Arterial HypertensionEndothelin-Receptor AntagonistsBosentan & ambrisentan are approved for the treatments of Bosentan is contraindicated in patients who are on cyclosporine or glyburide concurrently.Phosphodiesterase-5 InhibitorsSildenafil and tadalafil are approved for the treatment of PAHMC side effect is headacheNeither drug should be given to patients who are taking nitro vasodilators.ProstacyclinsIloprost is approved inhalation for PAHdeg.Epoprostenol is approved as a chronic IV treatment of PAH.Treprostinil, an analogue of epoprostenol, is approved for PAH and may be given intravenously, subcutaneously, or inhalation.The intravenous prostacyclins have the greatest efficacy as treatments for PAH and are often effective in patients who have failed all other treatments.Lung TransplantationLung transplantation is considered for patients who, while on an intravenous prostacyclin, continue to manifest right heart failure.